All of the following are general properties of Viruses except -
1. May contain both DNA and RNA
2. Form extracellular infectious particles
3. Heat labile
4. Not affected by antibiotics

Correct answer: 1. May contain both DNA and RNA

Explanation: Ans. is 'a' i.e., May contain both DNA and RNA Properties of viruses . Viruses are obligate intracellular parasites . They lack enzymes necessary for protein and nucleic acid synthesis and are dependent for replication on the synthetic machinery of host cells -4 so, they cannot grow in cell free culture media. . They do not have cellular organization. . They are unaffected by antibacterial antibiotics. . They contain only one type of nucleic acid, either RNA or DNA, never both. . They multiply by a complex process and not by binary fission. . The extracellular infections virus particle is called the virion. . With few exceptions, viruses are very heat labile.